Superoxol is:
1. 30% H2O2
2. Combination of H2O2 + sodium perborate
3. Combination of HCl + H2O2
4. None of the above

Correct answer: 1. 30% H2O2

Explanation: Superoxol - 5 parts H2O2 : 1 part ether
Hydrogen peroxide is a powerful oxidizer that is available in various strengths, but 30% to 35% stabilized solutions (Superoxol, Perhydrol) are the most common. 
These high-concentration solutions must be handled with care because they are: Unstable, lose oxygen quickly, and may explode unless they are refrigerated and kept in a dark container. Also, these are caustic chemicals and will burn tissue on contact.